Pontine stroke is associated with all except -
1. Bilateral pin point pupil
2. Pyrexia
3. Vagal palsy
4. Quadriparesis

Correct answer: 3. Vagal palsy